Which of the following material used in orthodontics, commonly causes sensitivity
1. Steel
2. Ceramic
3. Nickel
4. Plastic

Correct answer: 3. Nickel